Incidental finding in CT scan, a 3cm adrenal mass, which of the following is not done -
1. Adrenalectomy
2. Dexamethasone suppression test
3. Measurement of catecholamines
4. Midnight plasma cortisol

Correct answer: 1. Adrenalectomy